Fischer's angle is formed by the intersection of the protrusive and non-working side condylar paths as viewed in the
1. Horizontal plane
2. Reverse plane
3. Sagittal plane
4. Oblique plane

Correct answer: 3. Sagittal plane